Cardiomyopathy is not a feature of which of the following conditions?
1. Duchenne's Muscular Dystrophy
2. Friedriech's ataxia
3. Pompe disease
4. Lowe's syndrome

Correct answer: 4. Lowe's syndrome

Explanation: Cardiomyopathy is not a feature of Lowe's Syndrome whereas it is a common finding in disorders like DMD, Friedriech's Ataxia and Pompe disease. Ref: Ghai Essential Pediatrics - 6th Edition, Page 466, 538, 548, 614; Nelson's Textbook of Pediatrics 17th Edition, Page 1572,1760